All of the following are clinical features of Cushing's syndrome EXCEPT:
1. Insulin resistance
2. Menorrhagia
3. Violaceous striae
4. Centripetal obesity

Correct answer: 2. Menorrhagia

Explanation: Ans. B i.e. MenorrhagiaMenstrual irregularities may be seen in 80% of patients of Cushing syndrome